Precancerous lesion of the larynx include:
1. Keratosis laryngis
2. Laryngis sicca
3. Scleroma
4. All of the above

Correct answer: 1. Keratosis laryngis